IQ range of "Imbecile" is
1. 0 - 12
2. 26 - 50
3. 51 - 70
4. 71 - 85

Correct answer: 2. 26 - 50

Explanation: Idiot : 0 - 25.
Imbecile : 26 - 50.
Moron : 51 - 70.